Most important HLA for organ transplantation and tissue typing:
1. HLA-A
2. HLA-B
3. HLA-C
4. HLA-D

Correct answer: 4. HLA-D

Explanation: Ans. (d) HLA-DRef: Bailey 26th edition, Pages 1409-1412* HLA- A, B, DR are the most important antigens in transplant* HLA antigens are the most common cause of graft rejection* HLA- DR is the most important of all* Anti HLA antibodies causes hyper acute rejection.